What should be the first treatment for an acutely avulsed tooth?
1. Gently replace with finger using light pressure, take radiograph and splint
2. Sterlize the root and reimplant
3. Pulp protection
4. Immediate endodontic treatment and reimplant

Correct answer: 1. Gently replace with finger using light pressure, take radiograph and splint